Risk of HIV trasnmission is not seen with -
1. Whole blood
2. Platelets
3. Plasma derived hepatitis B vaccine
4. Leucytes vaccines

Correct answer: 3. Plasma derived hepatitis B vaccine

Explanation: The danger of needle stick injury is present in medical and paramedical personnel,though the chance of infection are much less than with hepatitis B infection. REF:ANANTHANARAYAN AND PANIKER'S TEXTBOOK OF MICROBIOLOGY 9TH EDITION PAGE NO-583